Osmolality of plasma is mainly contributed by
1. Glucose
2. Sodium
3. Urea
4. Uric acid

Correct answer: 2. Sodium